A patient while being discharged after a normal vaginal delivery, enquires about perineal strengthening excercises. She should be adviced to start kiegel's excercises after?
1. 1st weeks in a normal delivery, 6 weeks if instrumental
2. After 3 wks
3. Immediately
4. after 6 Weeks

Correct answer: 3. Immediately

Explanation: Specific Exercises of the pelvic floor and deep abdominal muscles can be done within a few days of birth Pelvic floor exercises can reduce the swelling, Increase blood flow and improve the healing following birth It is safe to start Pelvic floor exercises straight after birth. The patient can start gently, in her comfort range, and then progress to stronger exercises as she feels able .